Pacemaker cells of respiration are located in
1. Pneumotaxic centre
2. Apneustic centre
3. Dorsal Respiratory Group
4. Pre - Botzinger complex

Correct answer: 4. Pre - Botzinger complex

Explanation: Pacemaker cells are in Pre - Botzinger complex which is a part of Ventral Respiratory Group.